In a patient presenting with diarrhea and pus cells in stool, the causative organism can be all except -a) Non-01 vibrio choleraeb) Enterotoxigenic E. colic) Enteroinvasive E. colid) Shigella dysenteriae 1e) Vibrio cholera
1. abc
2. bcd
3. abe
4. acd

Correct answer: 3. abe